T3 stage in oral cancer is-
1. Tumor >2 cm in greatest dimension
2. Tumor >4 cm in greatest dimension
3. Tumor >6 cm is greatest dimension
4. Tumor >8 cm is greatest dimension

Correct answer: 2. Tumor >4 cm in greatest dimension

Explanation: Ans. (b) Tumor >4cmRef: Bailey and Love 26th edition Page 709* T1 - <2cm* T2 - 2-4cm* T3 - 4-6cm* T4 - >6cm, invades adjacent structures